All of the following are features of tonic pupil, EXCEPT:
1. It is caused by damage to oculomotor nerve
2. Accommodative paresis is present
3. Cholinergic supersensitivity of the denervated muscle is present
4. Reaction to light is absent and to near reflex is very slow and tonic

Correct answer: 1. It is caused by damage to oculomotor nerve

Explanation: Tonic pupil results from damage to ciliary ganglion or short ciliary nerves. Features of tonic pupil: Reaction to light is absent and to near reflex is very slow and tonic Accommodative paresis is present Affected pupil is larger It is generally unilateral Cholinergic supersensitivity of the denervated muscle occurs. Association of tonic pupil with absent deep tendon reflexes in the lower extremities is called Adie's tonic pupil. Ref: Textbook of Ophthalmology edited by Sunita Agarwal, page 305.